Childbirth trauma leading to Urinary incontinence is seen least in females with:
1. Android pelvis
2. Anthropoid pelvis
3. Gynecoid pelvis
4. Platypelloid pelvis

Correct answer: 1. Android pelvis

Explanation: Childbirth trauma causes damage of the pelvic floor and pubocervical fascia leading to urinary incontinence. The injury is more common in gynecoid and least in android pevis.